Nerve commonly involved in fracture distal shaft of the humerus
1. Radial nerve
2. Medial
3. Ulnar
4. Circumflex Brachial nerve

Correct answer: 1. Radial nerve

Explanation: Radial nerve is the most commonly injured nerve in fracture shaft humerus It is particularly common in oblique fracture at junction of middle and distal third bone